Which of the following would be the plasma osmolality of child with plasma Na+ 125 MEq/L, glucose of 108mg/dl, and blood urea nitrogen (BUN) of 140 mg/dl
1. 360 mOsm/kg
2. 306 mOSM/kg
3. 312 mOSm/kg
4. 318 mOsm/kg

Correct answer: 2. 306 mOSM/kg

Explanation: Plasma osmolality measures the body's electrolyte-water balance. Whereas osmolality (with an "l") is defined as the number of osmoles (Osm) of solute per kilogram of solvent (osmol/kg or Osm/kg), osmolarity (with an "r") is defined as the number of osmoles of solute per liter (L) of solution (osmol/L or Osm/L). Reference: GHAI Essential pediatrics, 8th edition